Secondary (AA) amyloid is seen in all except ?
1. RA
2. TB
3. Multiple myeloma
4. RCC

Correct answer: 3. Multiple myeloma

Explanation: Ans. is 'c' i.e., Multiple myelomao In Multiple myeloma the amyloidosis is AL type (primary amyloidosis).